Most favourable soft palatal form for denture retention is?
1. Soft palate makes an angle of 700
2. Soft palate makes an angle of 450
3. Soft palate is horizontal with minimal muscular activity
4. All are equally favourable

Correct answer: 3. Soft palate is horizontal with minimal muscular activity

Explanation: Class I type (Horizontal) of soft palate is most favourable of complete retention.